Which of the most commonest organ involved in sarcoidosis
1. Lung
2. Liver
3. CNS
4. Eye

Correct answer: 1. Lung

Explanation: Presentation of sarcoidosis * Asymptomatic: abnormal routine chest X-ray (~30%) or abnormal liver function tests * Respiratory and constitutional symptoms (20-30%) * Erythema nodosum and arthralgia (20-30%) * Ocular symptoms (5-10%) * Skin sarcoid (including lupus pernio) (5%) * Superficial lymphadenopathy (5%) * Other (1%), e.g. hypercalcaemia, diabetes insipidus, cranial nerve palsies, cardiac arrhythmias, nephrocalcinosis Lung involvement occurs in >90% of sarcoidosis patients Ref Harrison 19th edition pg 2206